Statutary rape is considered below the age
1. 16 years
2. 18 years
3. 20 Years
4. 22 years

Correct answer: 2. 18 years